Most common drug used in Spasticity in patients with spinal cord injury is:
1. Diazepam
2. Tinazidine
3. Salicylates
4. Baclofen

Correct answer: 4. Baclofen

Explanation: Answer is D (Baclofen): Baclofen is the most commonly used agent of first choice for treatment of Spasticity in patients with Spinal Cord Injury. Baclofen is a synthetic agonist of the neurotransmitter GABA. Baclofen reduces the release of excitatory neurotransmitters at the spinal cord thus reducing spinal reflex action, clonus and frequency of flexor spasm thereby improving the range of motion. The goal of treatment is to reduce spasticity without increasing weakness. Baclofen is the initial drug treatment of choice for spasticity associated with spinal cord injury, multiple sclerosis and cerebral palsy. Baclofen can be administered orally for mild to severe spasticity.